False statement regarding molluscum contagiosum:
1. More severe in atopic dermatitis
2. Can be treated by cantharidin
3. Transmitted through skin-to-skin contact and fomite exposure
4. Caused by Flavivirus

Correct answer: 4. Caused by Flavivirus

Explanation: Molluscum contagiosum - Caused by Molluscum contagiosum virus I and II - Pox virus- Type I - most common- Type II- most common in HIV patients Widespread and refractory mollusca are seen in HIV disease with atypical and giant lesions. If spontaneous clearance is slow, lesions are symptomatic, associated with eczema , treatment can be given with topical agents( TCA , salicylic acid, nitric oxide , benzoyl peroxide , phenol, canthridin - 'Spanish fly', blistering agent used extensively esp in children , imiquimod) , intralesional immunotherapy, interferon, cryotherapy, surgical extirpation. Cidofovir 1-3% ointment and systemic paclitaxel can be considered in extensive lesions in refractory cases especially in immune incompetent individuals.